The most common cause of sudden arrhythmic cardiac death is -
1. Myocardial infarction
2. Aortic stenosis
3. Dilated cardiomyopathy
4. Electrolyte abnormalities

Correct answer: 1. Myocardial infarction

Explanation: most common cause of sudden cardiac deaths are arhymias and acute MI After arrhythmias and cardiogenic shock, the commonest cause of death after acute MI is rupture. Cardiac rupture complicates 10 per cent of acute MIs and occurs in the healing stages at around five to nine days Ref Harrison 20th edition pg 1411